Which of the following drugs are used for smoking cessation ?
1. Bupropion
2. Buspirone
3. Venlafaxine
4. Fluoxetine

Correct answer: 1. Bupropion